A pregnant woman is found to have an excessive accumulation of amniotic fluid. Such polyhydramnios is likely to be associated with all of the following conditions except
1. Sacrococcygeal teratoma
2. Anencephaly
3. Oesophageal atresia
4. Bilateral renal agenesis

Correct answer: 4. Bilateral renal agenesis

Explanation: Fetal congenital anomalies associated with Polyhydramnios CNS anomalies 1.Anencephaly 2.Hydranencephaly 3.Holoprosencephaly Neuromuscular disorders Myotonic dystrophy Obstruction of the fetal upper gastrointestinal tract 4.Esophageal atresia 5.Duodenal atresia Other obstructive causes 6.Clefts 7.Micrognathia 8.Congenital high-airway obstruction sequence 9.Fetal neck masses Thoracic abnormalities 10.Diaphragmatic hernia 11.Cystic adenomatoid malformation 12.Pulmonary sequestration Renal anomaly 13. Ureteropelvic junction obstruction Tumors 14.Fetal sacrococcygeal teratoma 15.Fetal mesoblastic nephroma 16.Large placental chorioangiomas Ref: William's 24th edition